Pain is less in primary dentition pulpitis as compared to permanent because:
1. More number of accessory canals.
2. Intrapulpal pressure is less.
3. Neural tissue is last to form and first to degenerate in primary dentition.
4. High pain threshold.

Correct answer: 3. Neural tissue is last to form and first to degenerate in primary dentition.